Which among the following is an angiotensin receptor antagonist?
1. Losartan
2. Enalapril
3. Ramipril
4. Captopril

Correct answer: 1. Losartan